A patient known to have mitral stenosis and atrial fibrillation, presents with acute onset of weakness in the left upper limb which recovered completely in two weeks. The most likely diagnosis is:
1. Transient Ischemic Attack
2. Ischemic stroke
3. Hemorrhagic stroke
4. Vasculitis

Correct answer: 2. Ischemic stroke

Explanation: Ischemic stroke